Carcinoid syndrome produces valvular disease primarily of the -
1. Venous valves
2. Tricuspid valve
3. Mitral valve
4. Aortic valve

Correct answer: 2. Tricuspid valve

Explanation: Carcinoid heart disease, also known as Hedinger syndrome, is rare affecting at least 20% of patients with carcinoid syndrome. Cardiac involvement in carcinoid disease generally results in right-sided valvular lesions, accompanied by tricuspid insufficiency and pulmonary stenosis. Ref Davidson 23rd edition pg 560